Atropine is indicated in all the following poisonings except:
1. Baygon
2. Tik 20
3. Parathion
4. Endrin

Correct answer: 4. Endrin

Explanation: Atropine is a DOC for organophosphate and carbamate poisoning. Baygon is a carbamate, Tik 20 and Parathion are organophosphates; so in their poisoning atropine is used. Endrin is an organochlorine ; so atropine is not used here.